In burns management, which of the following is the medium of choice:
1. Dextrose 5%
2. Normal saline
3. Ringer lactate
4. Isolyte-M

Correct answer: 3. Ringer lactate

Explanation: Ans. C: Ringer lactate